Which of the following viruses does not produce viral esophagitis ?
1. Herpes simplex
2. Adenovirus
3. Varicella
4. Cytomegalovirus

Correct answer: 2. Adenovirus

Explanation: The primary infectious causes of esophagitis are fungal and viral. The most common fungal infection causing esophagitis, and the most common form of infectious esophagitis overall, is Candida esophagitis. Viral esophagitis is generally caused by one of two viruses: herpes simplex virus or cytomegalovirus Ref Davidson edition23rd pg777